Lattice retinal degeneration seen in
1. Myopia
2. Hypermetropia
3. Presbyopia
4. Anisocoria

Correct answer: 1. Myopia

Explanation: Ans is 'a' i.e. . Myopia. Lattice degeneration of retina is seen in Myopia or more specifically, pathological myopia.Myopia is clinically of 3 types:-Developmental myopic -a congenital stationary* condition in which a child is bom with an abnormally long eye.Simple myopia :Commonest type of myopiaPathological myopia:is a degenerative and progressive conditionRefractive changes appear in childhood, and increases rapidly during the period of active growth upto 20 to 30 D by the age of 25 yrs*.the eyeball gets elongated essentially due to the degeneration of the posterior half of sclera often leading to a scleral bulge at the posterior pole (.Posterior staphyloma)*Fundus changes Myopic crescent*:-present at the temporal edge of the optic disc (Optic disc is large and pale). Fosterfunch9s spots*:-these are dark red circular patches due to choroidal Haemorrhage and subretinal neovascularization.Posterior staphyloma*.Vitreous degenerations & Haemorrhage*Chorioretinal atrophic patches at posterior pole.Retinal haemorrhages and lattice degenerates* leading to retinal detachment*.